Perifollicular and petechial hemorrhages are characteristic of-
1. Acrodermatitis enteropathica
2. Pellagra
3. Scurvy
4. Phrynoderma

Correct answer: 3. Scurvy

Explanation: Image ref Harrison 20th edition pg 67